Extremely low birth weight baby –
1. < 2.5 kg
2. < 2 kg
3. < 1.5 kg
4. < 1 kg

Correct answer: 4. < 1 kg

Explanation: Low birth weight newborn

Any neonate weighing less than 2500 gm at birth irrespective of the gestational age.

Very low birth weight newborn

Any neonate weighing less than 1500 gm at birth irrespective of the gestational age.

Extremely low birth weight newborn

Any neonate weighing less than 1000 gm at birth irrespective of the gestational age.